Regarding ethmoidal polyp, which one of the following is true:
1. Epistaxis
2. Unilateral
3. Less than 10 years
4. Associated with bronchial asthma

Correct answer: 4. Associated with bronchial asthma

Explanation: Polyps (being oedematous change in nasal mucosa) does not present with epistaxis because of their poor vascular supply. They present with nasal obstruction. They are bilateral and typically present in middle age. Allergic rhinitis; leads to ethmoidal polyps. Many patients with allergic rhinitis also have asthma.